Commonly affected nerve in anterior shoulder dislocation is
1. Musculocutaneous nerve
2. Radial nerve
3. Axillary nerve
4. Median nerve

Correct answer: 3. Axillary nerve

Explanation: -dislocation of shoulder joint mostly occurs inferiorly because the joint is least supported on this aspect.It often injures the axillary nerve because of its close relation to the inferior part of the joint capsule. -However clinically it is described as anterior or posteriordislocation indicating whether the humeral head has descended anterior or posterior to the infraglenoid tubercle of the scapula and long head of triceps. -Reference: Textbook of anatomy,Upper llimb and thorax, Vishram Singh, 2nd editon, page no.78